The most sensitive and practical technique for detection of myocardial ischemia in the perioperative period is -
1. Magnetic Resonance Spectroscopy
2. Radio labeled lactate determination
3. Direct measurement of end diastolic pressure
4. Regional wall motion abnormality detected with the help of 2D transoesophageal echocardiography

Correct answer: 4. Regional wall motion abnormality detected with the help of 2D transoesophageal echocardiography